A young man gets into a fight after taking beer and is kicked by the lower abdomen. There was pelvic fracture. Blood at meatus. Most likely cause is ?
1. Rupture of membranous urethra
2. Bulbar urethral injury
3. Kidney laceration
4. All

Correct answer: 1. Rupture of membranous urethra

Explanation: Ans. is 'a' i.e., Rupture of membranous urethra